Catalase is present in which of the following?
1. Golgi complex
2. Lysosomes
3. Peroxisomes
4. Mitochondria

Correct answer: 3. Peroxisomes

Explanation: ANSWER: (C) PeroxisomesREF: Lippincott's 4th ed p- 194, Harper 28th ed chapter 12, 22, 45, 51Hydroperoxidases Use Hydrogen Peroxide or an Organic Peroxide as Substrate. Two type of enzymes found both in animals and plants fall into this category: peroxidases and catalase. The enzyme catalase, present in many types of cells, converts it to H2O and O2, Catalase is a hemoprotein containing four heme groups. In addition to possessing peroxidase activity, it is able to use one molecule of H2O2 as a substrate electron donor and another molecule of H2O2 as an oxidant or electron acceptor. Catalase is found in blood, bone marrow, mucous membranes, kidney, and liver. Its function is assumed to be the destruction of hydrogen peroxide formed by the action of oxidases. Peroxisomes are found in many tissues, including liver.The peroxisome is an important organelle involved in aspects of the metabolism of many molecules, including fatty acids and other lipids (eg, plasmalogens, cholesterol, bile acids), purines, amino adds, and hydrogen peroxide. The peroxisome is bounded by a single membrane and contains more than 50 enzymes; catalase and urate oxidase are marker enzymes for this organelle.